Schwartz operation is done in
1. CSOM
2. Serous otitis media
3. Otosclerosis
4. Acute mastoiditis

Correct answer: 4. Acute mastoiditis

Explanation: Cortical mastoidectomy, known as simple or complete mastoidectomy or Schwartz operation It is complete exenteration of all accessible mastoid air cells and converting them into a single cavity. The posterior meatal wall is left intact and Middle ear structures are not disturbed. INDICATIONS 1. Acute coalescent mastoiditis. 2. Incompletely resolved acute otitis media with reservoir sign. 3. Masked mastoiditis. Re: Textbook of Ear, Nose and Throat, Dhingra, 6th Edition; Pg no: 401